Tuning fork frequency used for testing is:
1. 512 Hz
2. 1048 Hz
3. 248 Hz
4. All of the above

Correct answer: 1. 512 Hz

Explanation: Test are performed with tuning forks of different frequencies such as 128, 256, 512, 1024, 2048 and 4096 Hz. The higher pitched forks (such as the 512 hz fork) are more appropriate for hearing testing The single most common office test is a tuning fork test called the Rinne, named after Adolf Rinne of Gottingen, who described this test in 1855. In the Weber test, a 512 Hz tuning fork is placed on the patient's forehead. If the sound lateralizes (is louder on one side than the other), the patient may have either an ipsilateral conductive hearing loss or a contralateral sensorineural hearing loss. The Schwabach test compares the patient's bone conduction to that of the examiner's. If the patient stops hearing before the examiner, this suggests a sensorineural loss. If the patient hears it longer than the examiner, this suggests a conductive loss. Of course, this test is contingent on the examiner having normal hearing.